Which of the following are antigen-presenting cells?
1. Neutrophils
2. T-lymphocytes
3. Macrophages
4. Plasma cells

Correct answer: 3. Macrophages

Explanation: Neutrophils are one of the primary defense cells of the innate immune system. T-lymphocytes are important activators of the specific (adaptive) immune system. Macrophages are antigen presenting cells. Plasma cells produce antibodies.